Pityriasis rosea is a:
1. Self limiting disease
2. Chronic relapsing disease
3. Auto irmnune disease
4. Caused by dermatophyte

Correct answer: 1. Self limiting disease

Explanation: Pityriasis rosea is a disease of unknown etiology more commonly seen in spring and consists of papulosquamous eruptions. The disease is self limiting and usually lasts for 3 to 8 weeks. Epidemiology * Young age (10-43 years) more commonly affected. F>M * Etiology - Unknown, HHV- may have a role Clinical features The first manifestation is development of 2-6 cm annular lesion k.a. HERALD PATCH with fine COLLARETTE scales at periphery. Lesion are usually pruritic (may be absent in 25%). Lesions are usually confined to trunk and proximal aspects of arms and legs with characteristic distribution with the long axis of the oval lesion following the line of cleavage in a" CHRISTMAS TREE" PATTERN. Treatment Oral anti histaminic or topical anti pruritic agent for symptomatic relief. UVB phototherapy or natural sunlight exposure may give relief if started in first week of eruption.